A non ventilated preterm baby in the incubator is under observation. Which is the best way to monitor the baby's breathing and detect apnea –
1. Capnography
2. Impedence pulmonometry
3. Chest movement monitoring
4. Infrared end Tidal CO2 measurement

Correct answer: 2. Impedence pulmonometry

Explanation: Monitoring Respiration
1. Intubated Patient          

Capnography
Infrared End Tidal CO2 measurement

2. Non- Intubated Patient

Impedance pulmonometry
Pulse oximetry
Transcutaneous gas analysis. (only effective in infants d/t thin skin)